Which of the following is not a criterion to diagnose depression:
1. Unexplained visceral pains
2. Feeling of guilt
3. Hypersomnia/Insomnia
4. Worthlessness

Correct answer: 1. Unexplained visceral pains

Explanation: Symptoms- Sadness of mood (depressed mood) (S) markedly diminished Interest or pleasure (I) excessive Guilt or feeling of worthlessness (G) loss of Energy or fatigue (E) poor Concentration or indecisiveness (C) Significant appetite changes/weight loss or gain (more than 5% in a month) (A) Psychomotor agitation or retardation (P) Sleep disturbances (insomnia or hypersomnia) (S) Suicidal thoughts (S) The mnemonic is SIGECAPSS. 5 out of 9, atleast one out of first 2.